All are true about Barton's fracture except
1. Intra - articular fracture
2. Radio carpal subluxation
3. Dorsal barton is most common type
4. Requires open reduction and internal fixation

Correct answer: 3. Dorsal barton is most common type

Explanation: Volar barton is most common type.